A 2 year old child without fever develops bone pain, vomiting and features of increased intracranial pressure following excessive medication. The drug most likely to be responsible for this is –
1. Vitamin A
2. Phenothiazine
3. Phenytoin
4. Vitamin D

Correct answer: 1. Vitamin A

Explanation: It is a case of pseudotumor cerebri.